A 20 year old girl presents with pain abdomen and purpuric rash all over the body, most probable diagnosis is ?
1. HUS
2. Kawasaki disease
3. ITP
4. HSP

Correct answer: 4. HSP

Explanation: HSP (IgA vasculitis ) is characterized by - Palpable purpura(most commonly seen in buttocks and lower extremities ) Gastrointestinal signs and symptoms Arthralgia Glomerulonephritis Ref:Harrison 20 th edition pg no 2586